Tell, Show and Do technique was introduced by
1. Bandura.
2. Addleson.
3. Jordan.
4. Wilson and Kent.

Correct answer: 2. Addleson.